Biochemical analytes measured in the triple test are all the following Except
1. hCG
2. AFP
3. Unconjugated estriol
4. Inhibin A

Correct answer: 4. Inhibin A

Explanation: Second-Trimester ScreeningPregnancies with fetal Down syndrome are characterized by lower maternal serum AFP levels--approximately 0.7 MoM, higher hCG levels--approximately 2.0 MoM, and lower unconjugated estriol levels--approximately 0.8 MoM. This triple test can detect 61 to 70 percent of Down syndrome.Levels of all three markers are decreased in the setting of trisomy 18.Ref: William's Obstetrics; 24th edition; Chapter 14